Low-lying placenta is when the edge of placenta is __________
1. <2cm away from the internal os
2. >2.5 cm away from the internal os
3. >2 cm away from the internal os
4. <2.5 cm away from the internal os

Correct answer: 1. <2cm away from the internal os

Explanation: When the placental edge is <2cm from, but not over, the internal os, the placenta is defined as low-lying placenta. The diagnosis of low-lying placenta is made by the ultra sound examination. Ref: Williams Obstetrics 25th edition Pgno: 774